What is the normal orientation of humeral head -
1. Retroversion of 80 degrees
2. Retroversion of 30 degrees
3. Anteversion of 15 degrees
4. Anteversion of 50 degrees

Correct answer: 2. Retroversion of 30 degrees

Explanation: Answer- B. Retroversion of 30 degreesNormal humeral retroversion is 25-35 degrees.Normal femoral anteversion is 8-15 degrees